Tuberculous otitis media of the middle ear has all of the following except:-
1. Multiple perforation are seen
2. Pale granulomas are seen
3. ATT should be started
4. Painful otorrrhea is seen

Correct answer: 4. Painful otorrrhea is seen

Explanation: Tubercular Otitis Media-Presents with Chronic painless foul smelling otorrhea,Severe conductive type hearing loss (out of proportion to symptoms), involvement of labyrinth can lead to SNHL, Facial nerve palsyO/E- Multiple perforations in tympanic membrane followed by coalesce into single large perforation (Sievert Like Tympanic Membrane), Characteristic of tuberculous otitis media, Middle ear and mastoid are filled with pale granulation tissue Treatment-ATT for Primary disease, Oral toilet, Mastoid surgery